Micro-vesicular fatty liver in Reye's syndrome is?
1. Due to defect in beta oxidation of fatty acids
2. Due to defect in oxidative phosphorylation
3. Due to defect in fatty acid synthesis
4. Defective synthesis of acyl COA synthesis

Correct answer: 1. Due to defect in beta oxidation of fatty acids

Explanation: The most common secondary mitochondrial hepatopathy is Reye syndrome Recurrent Reye-like syndrome is encountered in children with genetic defects of fatty acid oxidation, such as 1. Deficiencies of the plasmalemmal carnitine transporter 2. Carnitine palmitoyltransferase I and II 3. Carnitine acylcarnitine translocase 4. Medium and long-chain acyl-CoA dehydrogenase, multiple acyl-CoA dehydrogenase, and long-chain L-3 hydroxyacyl-CoA dehydrogenase